Family consisting of a mother and her children is
1. Problem family
2. Broken family
3. Dysfunctional family
4. Matrifocal family

Correct answer: 4. Matrifocal family